After doing a graft repair of a thoraco-abdominal aneurysm, the patients developed weakness. Most propable cause for this:
1. Decreased blood supply to the lower limbs
2. Thoraco splanchnic injury
3. Discontinuation of arteria radicularis magna
4. Lumbosacral nerve injury

Correct answer: 3. Discontinuation of arteria radicularis magna

Explanation: Arteria Radicularis Magna: Arteria radicularis magna (artery of Adamkiewicz) is the main source of blood supply to the anterior spinal artery in the thoracolumbar segment of the spinal cord. It arises from either one of the lower posterior intercostal arteries (T9-T11) or of the subcoastal artery (T12), or less frequently of the upper lumbar arteries (L1 and L2) Occlusion or interruption is one of the major reasons for spinal cord ischemia (leading to paraparesis/Paraplegia) during surgery for thoracoabdominal aneurysm. Ref: Sabiston 20th edition Pgno: 1788